Late complement factor deficiency leads to?
1. Herediatry angioneurotic edema
2. SLE
3. Recurrent infections like Neisseria & Pnemococci
4. HUS

Correct answer: 3. Recurrent infections like Neisseria & Pnemococci

Explanation: Ans. (c) Recurrent infections like Neisseria & Pnemococci(Ref: Harrison 18:2666-67,17th ed 2030, 2031)Refer immunity chapterDeficiency of the terminal components of complement predisposes to Neisseria infectionsQ